Proximal convoluted tubules develops from -
1. Mesonephric duct
2. Metanephric tubules
3. Mesonephric tubules
4. Ureteric buds

Correct answer: 2. Metanephric tubules